A 55 year old post menopausal woman, on hormone replacement therapy(H), presents with heaviness in both breasts. A screening mammogram reveals a high density speculated mass with cluster of pleomorphic microcalcification and ipsilateral large axillary lymph nodes. The mass described here is most likely
1. Cystosarcoma phyllodes
2. Lymphoma
3. Fibro adenoma
4. Carcinoma

Correct answer: 4. Carcinoma